Nalgonda technique for defluoridation of water consists of adding in sequence?
1. Lime + Soda
2. Soda + Alum
3. Alum + Soda
4. Lime + Alum

Correct answer: 4. Lime + Alum

Explanation: NALGONDA TECHNIQUE:- Developed by National environment engineering research institute (NEERI), Nagpur for Defluoridation of water. It involves 'addition of Lime, Alum, and Bleaching powder' (Mnemonic: LAB) followed by Flocculation, Sedimentation and Filtration. In Nalgonda technique, Aluminum is major de-fluoridating agent.